Profuse expectoration of two months durations and clubbing may be seen -
1. Sarcoidosis
2. Polyarteritis nodosa
3. Pulmonary artery hypertension
4. Allergic bronchopulmonary aspergillosis

Correct answer: 4. Allergic bronchopulmonary aspergillosis